Not useful for diagnosis, in a female of 55 years presenting with postmenopausal bleeding:
1. Transvaginal USG
2. Postcoital test
3. Pap smear
4. Endometrial biopsy

Correct answer: 2. Postcoital test

Explanation: Ans. B: Postcoital Test Post-coital/Sim's/Huhner's test is for investigating infertility. Couple is advised to come after 2 hours of intercourse and following things are examined: Number of sperms in mucus aspirated from cervix Type of movement of sperms Quantity, viscosity and fern test of cervical mucus